A 70 year old male chronic smoker is diagnosed of having cancer of the urinary bladder. It is confined to the trigone and extention is upto the submucosa. The management would be
1. Complete transurethral resction
2. Complete transurethral resection with intravesical chemotherapy
3. Palliative radiotherapy
4. Radical cystectomy

Correct answer: 2. Complete transurethral resection with intravesical chemotherapy

Explanation: Answer- B. Complete transurethral resection with intravesical chemotherapyTreatment-T1Complete TUR followed by intravesical chemo- or immunotherapy or radical cystectomy